Treatment of TOF-
1. Modified BT shunt
2. Fontan procedure
3. Glenn shunt
4. Rastelli operation

Correct answer: 1. Modified BT shunt

Explanation: Ans. is 'a' i.e., Modified BT shunt